Which of the following is not one of the phases of Implantation of Embryo?
1. Epithelialization
2. Apposition
3. Adhesion
4. Invasion

Correct answer: 1. Epithelialization

Explanation: Implantation of Embryo can be divided into three phases: Apposition--initial contact of the blastocyst to the uterine wall Adhesion--increased physical contact between the blastocyst and decidua; and Invasion--penetration and invasion of syncytiotrophoblast and cytotrophoblast into decidua , inner third of the myometrium, and uterine vasculature.